Crohn's disease can be seen in ?
1. Jejunum only
2. Colon only
3. Terminal ileum and right side
4. Mouth to anus

Correct answer: 4. Mouth to anus

Explanation: Ans. is 'd' i.e., Mouth to anus